Spiegelberg criteria is used in:
1. Ovarian pregnancy
2. Abdominal pregnancy
3. Cervical pregnancy
4. Tubal pregnancy

Correct answer: 1. Ovarian pregnancy

Explanation: Spiegelberg laid down the following criteria to diagnose ovarian pregnancy - 1. Both fallopian tubes must be anatomically normal.2. The gestational sac must occupy the ovary in depth3. The wall of the gestational sac should consist of recognizable ovarian elements on examination.4. The gestational sac should be attached to the uterus by the ovarian ligament and to the pelvic wall by the infundibulopelvic ligament